Stippled Epiphysis is seen in?
1. Congenital Hypothyroidism
2. Juvenile Rheumatoid Arthritis
3. Scurvy
4. Achondroplasis

Correct answer: 1. Congenital Hypothyroidism

Explanation: Causes for Stippled Epiphysis Congenital hypothyroidism (cretinism) a group of skeletal dysplasias called chondrodysplasia punctate. Alcohol use during pregnancy Warfarin use during pregnancy Vitamin K deficiency